Eggshell calcification is unlikely in which of the following condition
1. Silicosis
2. Coal worker's pneumoconiasis
3. Castleman disease
4. Scleroderma

Correct answer: 3. Castleman disease

Explanation: In the mediastinum and thorax Silicosis: 5% patients Treated lymphoma: (postirradiation Hodgkin disease) usually 1-9 years following treatment Coal worker's pneumoconiosis (CWP): 1% patients Sarcoidosis: calcification is uncommon (only 5% of patients) and occurs late in the disease; only rarely does it have an eggshell configuration Scleroderma and Amyloidosis: rare Blastomycosis (e.g. pulmonary blastomycosis): rare Histoplasmosis (e.g. pulmonary histoplasmosis): rare